A 25 years old basket ballplayer suddenly collapsed while undergoing an athletic event and died. At autopsy the septum was hypertrophied. The most probable diagnosis is -
1. HOCM
2. Right ventricular conduction Abnormality
3. Epilepsy
4. Snake bite

Correct answer: 1. HOCM